Which of the following statement (s) is/are true about Hb–O2 dissociation curvea) Fetal Hb shifts curve to leftb) Hypothermia shifts curve to leftc) Hypercarbia shifts curve to leftd) Left shift cause more O2 release to tissue
1. ab
2. a
3. ad
4. bc

Correct answer: 1. ab

Explanation: Hb-O2 dissociation curve shift to left indicates more affinity of Hb to O2, and thus less delivery of O2 to tissues.
 
Shift to left seen in
-        Increased pH
-        Decreased 2,3 DPG, temperature, PCO2
-        HbF (Fetal)
 
Shift to right seen in
-        Decreased pH
-        Increased 2,3DPG, temperature, PCO2
-        HbS (Sickle cell)